Nigro protocol is for management of -
1. Rectal carcinoma
2. Anal canal carcinoma
3. Gastrinoma
4. Renal cell carcinoma

Correct answer: 2. Anal canal carcinoma

Explanation: Ans. is 'b' i.e., Anal canal carcinoma * Nigro protocol includes combined radiation and chemotherapy with 5FU and mitomycin C. It is commonly used in management of anal canal carcinoma.